Amphotericin B has the following unwanted effects
1. Psychosis
2. Renal impairment, anaemia
3. Hypertension, cardiac arrhythmia
4. Bone marrow toxicity

Correct answer: 2. Renal impairment, anaemia

Explanation: Renal impairment occurs in nearly all patients treated with clinically significantdoses of amphotericin.. varying degree of anaemia due to reduced erythropoietin production by damaged renal tubular cellsBasic and clinical pharmacology Katzung 13th edition pg 828